Spring catarrh may be associated with:
1. Anterior subcapsular cataract
2. Keratoconus
3. Interstitial keratitis
4. All of the above

Correct answer: 2. Keratoconus

Explanation: Ans. Keratoconus